Second gas effect is seen with
1. Ether
2. Nitrous oxide
3. Halothane
4. Isoflurane

Correct answer: 2. Nitrous oxide

Explanation: The second gas effect is a distinct phenomenon that occurs independently of the concentration effect. The ability of the large-volume uptake of one gas (first gas) to accelerate the rate of increase of the Part of a concurrently administered companion gas (second gas) is known as the second gas effect. For example, the initial large volume uptake of nitrous oxide accelerates the uptake of companion gases such as volatile anesthetics and oxygen. Basics of Anaesthesia 7e pg: 99